Necrotizing papilitis is seen in all of the following except-
1. Salicylate poisoning
2. Renal vascular thrombosis
3. PNH
4. Diabetes mellitus

Correct answer: 3. PNH